Sarcoma botyroides in vagina is seen in which age-
1. Less than 8vrs
2. 8-16yrs
3. 16-24yrs
4. > 24yrs

Correct answer: 1. Less than 8vrs

Explanation: Ans. is 'a' i.e., Less than 8 yrs Sarcoma botvroides (Embryonal rhabdomyosarcoma)o Special type of mixed mesodermal tumour commonly arising from cervix, rarely from vagina & uterus,o Usually arises before the age of 8 yrs.o Presents with blood stained watery vaginal discharge, anemia & cachexia,o Vaginal examination show-s pinkish grape like, polypoidal soft growth,o Diagnosis is done by histopathology.o Treatment options are intravenous VAC (vincristine, actinomycin-d, cyclophosphamide), local resection & radiation.